Which of the following is/are not side-effect of lithium:
1. Seizure
2. Hyporeflexia
3. Nephrogenic diabetes insipidus
4. Alopecia

Correct answer: 2. Hyporeflexia

Explanation: Ans. B.HyporeflexiaRef: Synopsis of psychiatry by Kaplan 6 Sadock 11th/985-88; KDT 7th/449; pharmacology by Satoskar 2ith/225Lithium:Mild toxicity: GI disturbances, drowsiness, muscular weakness, alopecia, allergic reaction, blurred vision, glycosuria, polyuria & weight gain.Chronic administration: goiter formation, hypothyroidism & ECG changesEmbryotoxicity: Li is embryotoxic & increases the risk of Ebstein's anomalyHyper-reflexia